Which of the following drug does not cross the blood-placental barrier?
1. Atropine
2. Glycopyrolate
3. Physostigmine
4. Hyoscine hydro bromide

Correct answer: 2. Glycopyrolate

Explanation: Ref:KD Tripathi pharmacology 7th edition (page.no: 19,116) Placental membranes are lipoidal and allow free passage of lipophilic drugs while restricting hydrophilic drugs. Glycopyrrolate is a quaternary ammonium compound. So it can't cross placenta and brain(BBB). Other drugs can cross the placenta